Which of the following drugs used in the therapy of metastatic melanoma is a MEK inhibitor?
1. Vemurafenib
2. Ipilimumab
3. Dabrafenib
4. Trametinib

Correct answer: 4. Trametinib

Explanation: MEK INHIBITORS: Trametinib, Binimetinib, Cobimetinib Reversible inhibitor of mitogen-activated extracellular signal regulated kinase (MEK). Used in the treatment of MALIGNANT MELANOMA Dabrafenib and vemurafenib are BRAF inhibitors used in MALIGNANT MELANOMA. Ipilimumab is a monoclonal antibody against CTLA-4. It is also approved for treatment of malignant melanoma.